A 19 years old patient came to the out patient department with complaints of primary amenorrhea. She had well-developed breast and pubic hair. However there was absence of vagina and uterus but normal ovaries. Likely diagnosis is:
1. XYY
2. Mullerian agenesis
3. Gonadal dysgenesis
4. Klinefelter's syndrome

Correct answer: 2. Mullerian agenesis

Explanation: Ans. b. Mullerian agenesis Mullerian agenesis is the cause of primary amenorrhea, which is characterized by absence of uterus /vagina, also known as Rokitansky-Kuster- Hausen syndrome.